Superinfection is common in :
1. Narrow spectrum antibiotics
2. Immunocompromised host
3. Low spectrum antibiotics
4. Nutritional deficiency

Correct answer: 2. Immunocompromised host